All are true about Influenza virus except
1. Influenza A is m/c cause of outbreak
2. Incubation period is 2-3 weeks
3. Type-B cause Reye's syndrome
4. Influenza possess two glycoprotein antigens

Correct answer: 2. Incubation period is 2-3 weeks

Explanation: Incubation period of  Influenza is 18 - 72 hours.